Conjugated bilirubin is increased in?
1. Rotor Syndrome
2. Gilberts syndrome
3. CrigglerNajjar syndrome 1
4. CrigglerNajjar syndrome 2

Correct answer: 1. Rotor Syndrome

Explanation: Ans. (a) Rotor SyndromeRef: Harrison's 17th Ed Ch Table 43-1